Sinusoids are seen in all of the following except
1. Liver
2. Kidney
3. Lymph nodes
4. Spleen

Correct answer: 2. Kidney

Explanation: Sinusoids are found in the liver, lymphoid tissue, endocrine organs, and hematoploietic organs such as the bone marrow and the spleen. Sinusoids found within terminal villi of the placenta are not comparable to these because they possess a continuous endothelium and complete basal lamina.